The ratio of ICF volume to Extracellular fluid volume reaches adult values at the age of
1. 1 year
2. 2 years
3. 3 years
4. 4 years

Correct answer: 1. 1 year

Explanation: Total body water is divided between 2 main compartments: intracellular fluid (ICF) and extracellular fluid (ECF). In the fetus and newborn, the ECF volume is larger than the ICF volume. The normal postnatal diuresis causes an immediate decrease in the ECF volume. This is followed by continued expansion of the ICF volume, which results from cellular growth. By 1year of age, the ratio of the ICF volume to the ECF volume approaches adult levels.Reference: Nelson Textbook of Paediatrics; 20th edition; Chapter 55; Electrolyte and Acid-Base Disorders